LCAT is induced by ?
1. Apo A-I
2. Apo B-48
3. Apo B-100
4. Apo C-II

Correct answer: 1. Apo A-I

Explanation: Ans. is 'a' i.e., Apo A-I